Most universally accepted indicator of health status of whole population and their socioeconomic conditions among the following is:
1. MMR
2. IMR
3. Life expectancy
4. Disease notification rates

Correct answer: 2. IMR

Explanation: Ans. (b) IMR* Infant Mortality Rate : Is one of the most universally accepted indicators of health status not only of infants, but also of the whole population and the socio-economic conditions under which they live* IMR is a sensitive indicator of availability, utilization and effectiveness of health care, particularly perinatal care* Infant Mortality Rate :- Infant Mortality Rate is a rate- Is the second-best indicator of socio-economic development of a country: Ultimate solution for lowering IMR lies in socio-economic development - Is most important indicator of health status of a community, level of living and effectiveness of MCH services in general- IMR is among 'the best predictors of state failure'ALSO REMEMBER* Disability adjusted life expectancy : DALE brings more information than infant mortality rate (IMR) when comparing the overall health status of different populations. But, DALE is quite difficult to compute and to precisely understand. For countries with limited resources that require an easily calculated measure of population health, IMR may remain a suitable choice.* UNICEF considers U5MR or CMR as 'single best indicator of socio-economic development and well-being' (even better than IMR)